A 32-year-old woman with diabetes mellitus delivers a child after 38 weeks of gestation. Which of the following is the most likely abnormality that might be encountered in this child at birth?
1. Cataracts
2. Hyperbilirubinemia
3. Hypoglycemia
4. Low birth weight

Correct answer: 3. Hypoglycemia

Explanation: - Tight glucose control in diabetic mother is necessary to prevent overstimulation of fetal pancreas during gestation. - Fetus exposed to hyperglycemia in utero may develop hyperplasia of pancreatic b-cells,-secrete insulin autonomously-hypoglycemia - Increased birth weight is commonly encountered in offspring of diabetic mothers - The incidence of intellectual disability is not specifically increased.